GBS in a child treatment
1. IVIG
2. Ventilation
3. Plasmapharesis
4. All of above

Correct answer: 4. All of above

Explanation: Guillain-Barre syndrome 
Autoimmune disorder,
Leads to demyelination of nerve.

H/O preceding viral infection :

Infectious mononucleosis (EB Virus): Measles, mumps, ECHO, coxsackie.
Campylobacter: Strongly associated with severe form acute motor axonal neuropathy (AMAN). Clinical feature
The symmetrical weakness of LMN type Ascending type,
Subjective sensory involvement.
Facial nerve palsy seen in 3 /4th of cases.
Involvement of autonomic nervous systems, (urinary retention, hypo or hypertension). Diagnosis
CSF - Albumin cytological dissociation (Protein is elevated in 80% of cases but cell count normal). Treatment
Self-limited in the majority of cases, Intravenous immunoglobin shows a good response, Plasma pheresis - Removal of autoantibodies,
Assisted ventilation - If the patient had respiratory muscle paralysis,
Physiotherapy.